Volume of ICF in body
1. 0.2*body wt
2. 0.4*body wt
3. 0.6*body wt
4. 0.8*body wt

Correct answer: 2. 0.4*body wt

Explanation: In a 70 kg man 60 % of body weight is due to water Of that water 2/3 rd is present intra cellularly Ref:Guyton and Hall textbook of medical physiology 12th edition,page number: 45,46,47